Significant weight loss is -
1. 5% over 6-12 months
2. 10% over 6-12 months
3. 5% over 6 weeks
4. 10% over 6 weeks

Correct answer: 1. 5% over 6-12 months

Explanation: Ans. is 'a' i.e., 5% over 6-12 months o Clinically important weight loss is defined as the loss of 10 pounds (4.5 kg) or < 5% of one's body weight over a period of 6-12 months.